Approximate magnitude of completed family size is given by:
1. General fertility rate
2. Total fertility rate
3. Net reproduction rate
4. Pregnancy rate

Correct answer: 2. Total fertility rate

Explanation: TFR represents the average number of children a woman would have if she were to pass through her reproductive years bearing children at the same rates as women in each group. It gives the approximate magnitude of completed family size.